Testicular teratoma in adults is?
1. Benign
2. Malignant
3. Locally aggressive
4. Borderline

Correct answer: 2. Malignant

Explanation: Malignant REF: Robbin's 7th ed p. 1044 In children differentiated mature teratoma may be benign In post pubertal males all teratoma are regarded as malignant and capable of metastasis regardless the elements may be immature or mature.